Commonest dangerous complication of posterior dislocation of knee is
1. popliteal artery injury
2. sciatic nerve injury
3. ischaemia of lower leg compartment
4. femoral artery injury

Correct answer: 1. popliteal artery injury

Explanation: Ans. is 'a' i.e popliteal art injury